Gold standard for diagnosis of osteoporosis ?
1. DEXA
2. Single beam densitometry
3. Quatitative computed tomography
4. Bone histomorphometry

Correct answer: 1. DEXA

Explanation: Ans. is 'a' i.e. The gold standard for diagnosis of osteoporosis is dual energy X-ray absorption scan (DEXA scan). The test is performed by passing low energy X-rays through a bone (e.g. spine, hip or wrist). The test takes about ten minutes, is painless, and is associated with very limited radiation exposure. The values generated by the test can then be compared to both: Young adult population : called a "T score", this test measures the variance between the patient and the young adult baseline. A score above -1 is considered normal; a score between -1 and -2.5 is considered osteopenia; and a score below -2.5 is considered osteoporosis. For each -1 standard deviation in T score there is a 3 times increased risk of hip fracture and a 2.5 times risk of spine fracture. Age-and gender-matched control groups : a "Z score" measures the variance between the patient's and control groups' amount of bone. The control group consists of other people in the patient's age group of the same size and gender. An unusually high or low score may indicate the need for additional tests.